In Anaphylactic shock epinephrine given by which route?
1. Intravenous route
2. Oral
3. Subcutaneous
4. Intramusular

Correct answer: 4. Intramusular

Explanation: Ans. is 'd' i.e., Intramuscular o Both subcutaneous and intramuscular routes are recommended for adrenaline use in anaphylactic shock. o However, intramuscular route of administration is superior and therefore is the route of choice for the treatment of anaphylactic shock. The lateral aspect of thigh is the site of choice. o Subcutaneous route is second choice.